Commonest injury in blunt abdominal trauma -
1. Kidney
2. Liver
3. Bladder
4. Spleen

Correct answer: 4. Spleen

Explanation: Ans. is 'c' i.e.. Spleen